Which of following are associated with external oblique muscle -a) Pouparts ligamentb) Lacunar ligamentc) Superficial inguinal ringd) Conjoint tendone) Cremaster muscle
1. ab
2. abc
3. acd
4. bcd

Correct answer: 2. abc

Explanation: Internal oblique forms cremasteric muscle. Internal oblique and transversus abdominis form the conjoint tendon. Poupart's ligament, lacunar ligament, pectineal ligament, superficial inguinal ring, and external spermatic fascia are all formed by external oblique muscle.